Breathing ceases upon destruction of the
1. Cerebrum
2. Medulla oblongata
3. Hypothalamus
4. Cerebellum

Correct answer: 2. Medulla oblongata